Hynes pharyngoplasty is used to improve a child's ?
1. Appearance
2. Teething
3. Speech
4. Feeding

Correct answer: 3. Speech

Explanation: Ans. is 'c' i.e., Speech